The vaccine not to be givenduring pregnancy is -
1. MMR
2. Rabies
3. Hepatitis B
4. Diphtheria

Correct answer: 1. MMR

Explanation: Mild concurrent infections are not considered a contraindication to vaccination, but it should be avoided if the patient has a high fever or other signs of serious disorder. Measles vaccine alone or in combination with other vaccines should also be avoided by pregnant women (refer pgno:149 park 23 rd edition)